Pyometra is a complication associated with all of the following conditions except:
1. Pelvic radiotherapy
2. Carcinoma of the cervix
3. Carcinoma of the vulva
4. Carcinoma of endometrium

Correct answer: 3. Carcinoma of the vulva

Explanation: Pyometra implies presence of pus in the Uterus Conditions associated with it:- Carcinoma of the cervix(M/c cause in India) Carcinoma of endometrium Pelvic radio therapy TB Senile endometritis